Most specific and sensitive for identification is -
1. Anthropometry
2. Dactylography
3. Skull
4. Pelvis

Correct answer: 2. Dactylography